Composites are not recommended for direct posterior restorations in all the following except:
1. Heavy occlusal stresses
2. Deep subgingival areas
3. Interim restorations
4. Isolation is not possible

Correct answer: 3. Interim restorations